Respiratory rhythm nucleus-
1. Pneumotaxic centre
2. Dorsal group of nucleus
3. Apneustic centre
4. Pre-Botzinger Complex

Correct answer: 4. Pre-Botzinger Complex

Explanation: Ans. is 'd' i.e., Pre-Botzinger Complex Important facts about the regulation of respiration o Medullary respiratory group of neurons are - i) Dorsal respiratory group (DRG) - Concerned with inspiration ii) Ventral respiratory group (VRG) - Mainly concerned with Forceful expiration, but also shows some activity during inspiration. iii) Pre - Botzinger complex: - Responsible for generation of respiratory rhythm. o Pontine respiratory centers are - i) Pneumotaxic center - The primary function is to limit inspiration, i.e., to control the switch off point of inspiratory ramp and control of inspiratory depth. ii) Apneustic center - Excites inspiratory center to prolong inspiration.